Shallow tails are seen in
1. Incised wounds
2. Lacerations
3. Chop wounds
4. Stab wounds

Correct answer: 2. Lacerations

Explanation: - Shallow tails : Tearing at the ends of lacerations at angles diverging from the main laceration - Tailing is different and is a feature of incised wound Tissue tags - Pieces of tissue are attached in between the edges.